Mala-N is a....
1. POP pill
2. Mini pill
3. Combined pill
4. Once a month pill

Correct answer: 3. Combined pill

Explanation: Ans: c (Combined pill) Ref: Park, 19th ed, p. 398; Shaw, 12th ed, p. 177Combined pill:These pills usually contain a mixture of synthetic estrogen, (ethinyl estradiol, or mestranol), and orally active progesterone.Mala N contains 20-30ig of ethinyl estradiol, and 1 mg of nor ethisterone.Mala D contains20-30ig of ethinyl estradiol, and 0.5 mg of d-norgestrel.Mala N is supplied free of cost through all PHCs and Urban Family Welfare Centres.The pill is given orally for 21 consecutive days, beginning on the 5th day of cycle followed by a break of 7 days during which menstruation occurs.POP pills-- progesterone only pill (mini pill, micro pill) - It contains only progesterone which is given in small doses throughout the cycle. They could be prescribed to older women with cardiovascular risks, where estrogen is conu aindicated, also in young women with risk of neoplasia.Once-a-month (long acting pill) - Combination of long acting estrogen with a progesterone. But the results are disappointing.Post coital contraception:Post coital (morning after) contraception is recommended within 72 hours of an unprotected intercourse.Two methods available are:a) IUDb) HormonalMode of action of oral pills-prevents ovulation. POP renders cervical mucous mucus thick and scanty and thereby inhibiting sperm penetration. They also inhibit tubal motility and delay the transport of sperm and ovum to the uterine cavity.Side effects:1. Breast tenderness2. Weight gain3. Headache and migraine4. Bleeding disturbances5. Mondial vaginitis6. Nausea, vomiting7. Alteration of lipid metabolism-decrease HDL8. Carcinogenesis -it is seen that there is increased risk of cervical cancer with increasing duration of OCP use.9. Thrombo embolic disorder, pulmonary embolism, cerebral thrombosis.Contra indications:a) Absolute-cancer of breast and genitals, liver disease, previous or present history of thrombo embolism, cardiac abnormalities, congenital hyperlipidemia, undiagnosed abnormal uterine bleeding.b) Sspecial problems requiring medical surveillance-age over 40 years, smoking and age over 35 years, mild hypertension, chronic renal disease, epilepsy,migraine, diabetes mellitus, first 6 months of lactation, gall bladder disease, acid amenorrheoa.Beneficial effects:Protects against benign breast disease, ovarian cysts, iron deficiency anaemia, pelvic inflammatory disease, ovarian cancer and ectopic pregnancy.Male pill--made of Gossypol; a derivative of cotton seed oil. It is effective in producing azoospermia